Which pathway takes place partly in mitochondria and partly in cytoplasm
1. Electron transport chain
2. Link reaction
3. Fatty acid synthesis
4. Gluconeogenesis

Correct answer: 4. Gluconeogenesis

Explanation: Heme synthesis
Urea cycle 
Gluconeogenesis
Mnemonic : These 3 pathways HUG cytoplasm and Mitochondria
These 3 pathways take place partly in cytoplasm and partly in mitochondria